Which of the following is not a ground for conduction MTP ?
1. Contraceptive failure
2. Rape
3. Unmarried female
4. Mother at risk

Correct answer: 3. Unmarried female